A most insanitary method that creates public health hazards, nuisance and severe pollution of environment is
1. Incineration
2. Controlled tipping
3. Dumping
4. Composting

Correct answer: 3. Dumping